Rh incomatibility is -
1. Type I hypersensitivity
2. Type II hypersensitivity
3. Type III hypersensitivity
4. Type IV hyperseninsitivity

Correct answer: 2. Type II hypersensitivity

Explanation: Ans. is 'b' i.e., Type II hypersensitivityo Rh incomplatability (erythroblastosis fetalis) is a type II hypeosensiutivity.